Verapamil belongs to which class of the anti - arrhythmic drugs?
1. Class IV
2. Class Ia
3. Class Ib
4. Class Ic

Correct answer: 1. Class IV

Explanation: Ans. is 'a' i.e., Class IV Verapamil (A calcium channal blockers) belongs to Class IV antiarrhythmic drugs.AntiarrhythmicsClass IA (Quinidine, Procainamide, Disopyramide, Moricizine)Both ventricular and suproventricular (atrial)Class IB (Lidocaine, mexiletine, Phenytoin)VentricularClass IC (Propofenon, flecanide, encanide)Both ventricular and suproventicular (atrial)Class II (Beta blockers)Both ventricular and supraventricular (atrial)Class III (Amiodarone, bretylium, Ibutilide, dofetilide)Both ventricular and supraventricular (atrial)Class IV (calcium channel blockers)Supraventricular (atrial)Miscellaneous # DigoxinSupraventricular (atrial)# AdenosineSupraventricular (atrial)